Trantas spots are seen in-
1. Vernal conjunctivitis
2. Eczematous conjunctivitis
3. Ophthalmia nodosa
4. Tularemia

Correct answer: 1. Vernal conjunctivitis

Explanation: Signs of vernal keratoconjunctivitis in Bulbar form : (i) presence of discrete whitish raised dots along the limbus (Tranta's spots) (ii) gelatinous thickened accumulation of tissue around the limbus; and (iii) dusky red triangular congestion of bulbar conjunctiva in palpebral area; ref: A K KHURANA OPHTALMOLOGY,E4, Page-75 ref img